Psammoma bodies are seen in all except -
1. Seminoma
2. Meningioma
3. Pappilary carcinoma of thyroid
4. Pappillary serous cystadenocarcinoma of the ovary

Correct answer: 1. Seminoma

Explanation: Psammoma bodies represent a process of dystrophic calcification.
Single necrotic may constitute seed crystals that become encrusted by the mineral deposits. The progressive acquisition of outer layers may create lamellated configurations, called psammoma bodies because of their resemblance to grains of sand.
Psammoma bodies are seen in :


Papillary cancer of the thyroid
Meningioma
Papillary serous cystadenocarcinoma of the ovary